All of the following can occur in a neonate for heat production except
1. Shivering
2. Breakdown of brown fat with adrenaline secretion
3. Universal flexion like a fetus
4. Cutaneous vasoconstriction

Correct answer: 1. Shivering

Explanation: On exposure to cold and wet environment, the neonate tries to generate heat by increasing physical activity(crying, increased body movements) and by mounting a sympathetic surge that causes peripheral vasoconstriction and non-shivering thermogenesis in the brown fat. Reference : page 143 Ghai Essential Pediatrics 8th edition